Which hormone act on intracellular receptors-
1. Thyroxine
2. Glucagon
3. Insulin
4. PDGF

Correct answer: 1. Thyroxine

Explanation: Ans. is 'a' i.e., Thyroxine Hormones with intracellular receptors (Group I hormones)* Cytoplasmic Glucocorticoids (cortisol/cortisone), mineralocorticoids, androgens, progestins.* Nucleus Estrogen, Thyroid hormones (T3 T4), retinoic acid, Vitamin D (Calcitriol or 1,25 (OH)2 D3).